spider nevi, dilatation of blood vessels is due to
1. Testosterone
2. Estrogen
3. Hepatotoxins
4. FSH

Correct answer: 2. Estrogen

Explanation: Ref Wikipedia A spider angioma as a nevus araneus, spider nevus, vascular spider ,spider telangiectasia is type of telangiectasia found slightly beneath the skin surface The central red dot is the dilated arteriole and the red spider legs are small veins carrying away the freely flowing blood. The dilation is caused by increased estrogen levels in the blood